All the following causes micronodular cirrhosis except:
1. Laennec's cirrhosis
2. Primary biliary cirrhosis
3. Indian childhood cirrhosis
4. Wilson's disease

Correct answer: 4. Wilson's disease

Explanation: Ans: D (Wilson's disease) Ref: Harrison's Textbook of Internal Medicine, 18th edExplanation:Micronodular cirrhosisLaennec's cirrhosisJejunoileal bypassPrimary & secondary biliary cirrhosisIndian childhood cirrhosisHemochromatosisMacro nodular cirrhosisHepatitis B & CWilson's diseaseAlpha 1 antitrypsin deficiencyTvrosinemiaPost necroticBothHemochromatosisAlcoholic liver disease